Radial club hand/ Manus valgus is due to:
1. Absence of ulna
2. Absence of radius
3. Carpal bones absent
4. Absence of humerus

Correct answer: 2. Absence of radius

Explanation: Ans. B i.e. Absence of radius Radial dysplasia/ Radial club hand/ Radial longitudinal deficiency It is a congenital difference occurring in a longitudinal direction resulting in radial deviation of the wrist and shortening of the forearm. It can occur in different ways, from a minor anomaly to complete absence of the radius, radial side of the carpal bones and thumb. Hypoplasia of the distal humerus may be present as well and can lead to stiffnes of the elbow. Radial deviation of the wrist is caused by lack of support to the carpus, radial deviation may be reinforced if forearm muscles are functioning poorly or have abnormal insertions